All are preleukemic conditions, except:
1. Paroxysmal Nocturnal Hemoglobinuria
2. Paroxysmal Cold Hemoglobinuria
3. Aplastic anemia
4. Myelodysplastic syndrome

Correct answer: 2. Paroxysmal Cold Hemoglobinuria

Explanation: . Paroxysmal Cold Hemoglobinuria